Charcteristic pathological finding in carcinoid heart disease is:
1. Fibrous endocardial thickening of Right ventricle, Tricuspid valve & Pulmonary valve
2. Endocardial thickening of Tricuspid valve with severe Tricuspid Stenosis
3. Collagen rich, elastic deposits in endocardium of right ventricle and Pulmonary valve
4. Calcification of Tricuspid and Pulmonary valve

Correct answer: 1. Fibrous endocardial thickening of Right ventricle, Tricuspid valve & Pulmonary valve

Explanation: When there is cardiac involvement of the carcinoid syndrome it can lead to endocardial fibrosis (mainly right ventricle), pulmonic and tricuspid valve thickening. Ref: Robbin's Basic Pathology, 7th Edition, Page 587; Harrison's Principles of Internal Medicine, 16th Edition, Page 1413.